'Time out' is useful in the treatment of:
1. Temper Tantrums
2. Pica
3. Anorexia nervosa
4. Nocturnal enuresis

Correct answer: 1. Temper Tantrums

Explanation: Time-out- behavioral modification that involves temporarily separating child from an environment where an unacceptable behavior has occurred. The goal is to remove that child from an enriched, enjoyable environment- lead to extinction of the offending behavior. Distraction and 'time-out' strategies are useful in treatment of Temper Tantrums.